Color of oxygen cylinder is:
1. Black with white color
2. Blue with white color
3. Yellow with white color
4. White

Correct answer: 1. Black with white color

Explanation: ANSWER: (A) Black with white colorREF: Fundamentals of Anesthesia, Tim Smith Colin Pinnock Ted Lin, 3rd Ed, p830SubstanceColour codingCylinderShoulderOxygenblackwhiteNitrous oxideblueblueEntonox gasblueWhite/blueAirblackWhite/blackCarbon dioxidegreygrey